Components of innate immunity are -a) T lymphocytes b) Complement proteinsc) B lymphocytesd) NK cellse) Integrins
1. abc
2. ade
3. ace
4. bde

Correct answer: 4. bde